The clinically relevant dose of neuromuscular blocker required for clinically useful relaxation corresponds to:-
1. ED50
2. ED75
3. ED95
4. ED25

Correct answer: 3. ED95

Explanation: The effect of neuromuscular blocking drugs is measured as the depression of adductor muscle contraction (twitch) following electrical stimulation of the ulnar nerve. The value is compared with a control value obtained before injection of the drug. According to Miller, potency of a NMBD is best described as the effective dose - "The dose of a neuromuscular blocking drug required to produce an effect (e.g., 50%, 90%, or 95% depression of twitch height, commonly expressed as ED50, ED90, and ED95, respectively". Thus, the ED95 is the amount of NMBD required to reduce twitch height by 95% i.e . clinically useful relaxation